All of the following are included in Gradenigo's triad EXCEPT:
1. Abducent nerve palsy
2. Retro-orbital pain
3. Aural discharge
4. Palatal palsy

Correct answer: 4. Palatal palsy

Explanation: Gradenigo's syndrome/ Gradenigo-Lannois syndrome/ Petrous apicitis It is a complication of otitis media and mastoiditis involving the apex of the petrous temporal bone. It was first described by Giuseppe Gradenigo in 1904 when he reported a triad of symptoms consisting of periorbital unilateral pain related to trigeminal nerve involvement, diplopia due to sixth nerve palsy and persistent otorrhea, associated with bacterial otitis media with apex involvement of the petrous part of the temporal bone (petrositis).